Basal electrical rhythm of GIT is  produced by
1. Meissner plexus
2. Myentric plexus
3. Interstitial cells of cajal
4. Smooth muscle at cardiac end of stomach

Correct answer: 3. Interstitial cells of cajal

Explanation: Smooth muscle of GIT shows spontaneous fluctuation in membrane potential (between - 65mV and - 45mv) this is called  basal electrical rhythm. It is produced by interstitial cells of cajal.